Stylohyoid ligament is derived from:
1. 1st branchial arch
2. 2nd branchial arch
3. 1st branchial pouch
4. 2nd branchial pouch

Correct answer: 2. 2nd branchial arch

Explanation: Ans. B 2nd branchial archRef: Gray's Anatomy, 41st ed. pg. 449* The stylohyoid ligament is a fibrous cord extending from the tip of the styloid process to the lesser cornu of the hyoid bone. It gives attachment to the highest fibres of the middle pharyngeal constrictor and is intimately related to the lateral wall of the oropharynx. Below, it is overlapped by hyoglossus.* The ligament is derived from the cartilage of the second branchial arch and may be partially calcified.